Hawkin sign denotes?
1. Retained vascularity
2. Non union
3. Decrease vascularity
4. Avascular necrosis

Correct answer: 1. Retained vascularity

Explanation: Ans. (a) Retained vascularityRef:Rockwood and wilkins' Fractures in children p 1020y Lovell and winter's pediatric orthopaedics vol-l, 6/e,p 1512)